Best specimen of bone for sex determination is -
1. Femur
2. Pelvis
3. Skull
4. Mandible

Correct answer: 2. Pelvis

Explanation: According to Krogman, the degree of accuracy in sexing adult skull remains is: Entire skeleton 100% Pelvis alone 95% Skull alone 90% Pelvis plus skull 98% Long bones alone 80% Dr. Narayana Reddys Synopsis of Forensic Medicine & Toxicology 27th edition pg. 30.